The following vaccine is developed against cholera -
1. Dukoral
2. Vi polysaccharide
3. Ty 21a oral
4. None

Correct answer: 1. Dukoral

Explanation: Two types of oral cholera vaccines : Dukoral and Sanchol Vi polysaccharide and Ty 21a oral are typhoid vaccines. Ref: PARK'S TEXTBOOK OF PREVENTIVE AND SOCIAL MEDICINE 23rd edition , Page :233